Which one of the following is a hereditary disease that may be associated with infertility?
1. Polycystic ovaries
2. Bullous pemphigoid
3. Uterine fibroid
4. Immotile cilia syndrome

Correct answer: 4. Immotile cilia syndrome

Explanation: Immotile cilia syndrome (Kartagener's syndrome) is an autosomal recessive disease that may be associated with infertility Results from a genetic defect that prevents synthesis of ciliary dynein ATPase, resulting in cilia that cannot actively move. Men are sterile because their sperm are not motile (the flagella in their tails lack this enzyme). Women may be infertile because cilia along their oviducts may fail to move oocytes toward the uterus